Nephrotoxic agent is
1. Methoxy flurone
2. Isoflurone
3. Halothane
4. N20

Correct answer: 1. Methoxy flurone

Explanation: A i.e. Methoxy flurane